Central incisor tooth arrangement in tapering arch is
1. Rotation of incisors on their long axis inward at the distal aspect
2. Rotation of incisors on their long axis inward at the facial aspect
3. Rotation of incisors on their long axis inward at the mesial aspect
4. Central incisors almost in a straight line

Correct answer: 1. Rotation of incisors on their long axis inward at the distal aspect